True statement regarding postmortem hypostasis is/are
1. Also known as rigor mortis
2. Starts within 8 hours of death
3. Present all over the body
4. It is present on dependent part

Correct answer: 4. It is present on dependent part

Explanation: D i.e. It is present on dependant part Post mortem lividity does not develop in drowning in running waterQ (due to constantly changing position of body) and areas of contact flatteningQ (due to collapsed capillaries)